Rofecoxib as compared to indomethacin is :
1. Less likely to cause gastric ulcer and their complications
2. Likely to be more effective in rheumatoid arthritis
3. Not likely to produce renal complications
4. All of the above

Correct answer: 1. Less likely to cause gastric ulcer and their complications

Explanation: Selective COX-2 inhibitors are less likely to cause GI complications like PUD. However a COX-2 is also present constitutively in the kidney, chances of renal complications are similar. These drugs have similar or less efficacy than non-selective COX inhibitors.